Antral sign is seen in
1. Juvenile angiofibroma
2. Otosclerosis
3. CSOM
4. Sinusitis

Correct answer: 1. Juvenile angiofibroma

Explanation: Anterior bowing of the posterior wall of maxillary sinus often called antral sign or Holman-Miller sign, which is pathognomic of angiofibroma. (Ref: Diseases of ear, nose and throat, PL Dhingra, 7th edition, page 281)